In retinal detachment –
1. Effusion of fluid into the suprachoroidal space
2. Retinoschisis
3. Separation of sensory retina from pigment epithelium
4. None of the above

Correct answer: 3. Separation of sensory retina from pigment epithelium

Explanation: In retinal detachment the fluid accumulate in subretinal space i.e., the space between neurosensory epithelium (sensory epithelium or neuroepithelium) and pigmented epithelium.

Retinoschisis Vs Retinal detachment

It has already been explained that in retinal detachment there is separation between neurosensory layer and pigmented epithelium. The separation is between pigmented epithelium and layer of rods & cones of neuroepithelium.
In Retinoschisis, there is separation within the neurosensory layer, i.e., neurosensory layer (or sensory layer) of retina splits into two layers at the level of the inner nuclear and outer plexifonn layer. Senile (degenerative) retinoschisis is a predisposing factor for primary (rheugmatogenous) retinal detachment.